Bishop's scoring is used for:
1. Intrapartum fetal surveillance
2. Assesment for induction for labour
3. Assessment of fetal weight on USG
4. Assesment of events of active labour

Correct answer: 2. Assesment for induction for labour

Explanation: A quantifiable method used to predict labor induction outcomes is the score described by Bishop A Bishop score of 4 or less identifies an unfavorable cervix and may be an indication for cervical ripening. Hence a score of 5 or more is favourable. Bishop score before inducing labor should be >=8 A score of 9 conveys a high likelihood for a successful induction. BISHOP SCORE=.............................(total) Date of Bishop Score: ........./...../........ Score 0 1 2 3 Dilation (in cm) Closed 1-2 3-4 5 Length (in cm) >4 3-4 1-2 0 Consistency Firm Medium Soft - Position Posterior Midline Anterior - Head: station -3 -2 -1,0 +1,+2 'Effacement' of cervix is now replaced by 'Length' of cervix from the original bishop score